Appetite is increased by
1. Leptin
2. GLP
3. Peptide YY
4. Ghrelin

Correct answer: 4. Ghrelin

Explanation: Ans. (d) Ghrelin(Ref: Ganong, 25th ed/p.485)Ghrelin#Ghrelin is a 28-amino acid peptide secreted primarily by oxyntic gland area of the stomach#Major Functions of ghrelin are,It increases the appetite (orexinergic)Increases gastric motilityIncreases secretion of gastric acid,Increases adipogenesisIncreases insulin secretionIncreases growth hormone#Ghrelin levels peak just before food intake begins (fasting state)#Plasma levels of ghrelin are low in obese persons#Ghrelin levels are high in anorexia nervosa